Reye's Syndrome is cause by all except-
1. Adeno virus
2. RSV
3. Herpes
4. Influenza

Correct answer: 2. RSV

Explanation: Ans. is 'b' i.e., RSV Reye's syndrome Reye's syndrome is a metabolic mitochondria! disorder characterized by - i) Fatty infiltration of liver ii) Encephalopathy iii) Sometimes fatty infiltration of kidney o So, it so also known as Encephalopathy with fatty degeneration of viscera. Etiology o It is an acute self limiting metabolic insult resulting in generalized mitochondrial dysfunction due to inhibition of fatty acid oxidation. o Precipitating factors - o Viral infection --> Influenza B & A, Varicella (Herpes type 3), Echovirus - 2, Adenovirus, EBV, Coxsackievirus A